Which is not true of hypersensitivity vasculitis:
1. May be due to deposition of immune complexes or delayed hypersensitivity
2. Affects small, medium sized and larger arteries commonly
3. Immunologic response to an antigen
4. None of the above

Correct answer: 2. Affects small, medium sized and larger arteries commonly

Explanation: Ans. B: Affects small, medium-sized and larger arteries commonlyMicroscopic polyangitis is a necrotizing vasculitis that generally affects capillaries, as well as arterioles and venules of a size smaller than those involved in polyarteritis nodosa (medium vessel vasculitis); rarely larger arteries may be involvedIt is also called hypersensitivity vasculitis/ leukoclastic vasculitisCutaneous small-vessel vasculitis/Cutaneous leukocytoclastic angiitis/Cutaneous leukocytoclastic vasculitis/ Cutaneous necrotizing venulitis/ Hypersensitivity angiitis.It is inflammation of small blood vessels (usually post-capillary venules in the dermis), characterized by palpable purpura.It is the most common vasculitis seen in clinical practice.Leukocytoclasis refers to the damage caused by nuclear debris from infiltrating neutrophils in and around the vessels.Subtypes of small-vessel vasculitis include:- Henoch-Schonlein purpura- Acute hemorrhagic edema of infancy- Urticarial vasculitis- Cryoglobulinemic vasculitis- Erythema elevatum diutinum- Granuloma faciale